All of the following are described surgical procedures for CTE V except -
1. Dwyer's osteotomy
2. Posteromedial soft tissue release
3. Triple Arthrodesis
4. Salter's osteotomy

Correct answer: 4. Salter's osteotomy

Explanation: Ans. is 'd' i.e., Salter's osteotomy